Which one of the following acts commonly both on parasympathetic and sympathetic division ?
1. Atropine
2. Pilocarpine
3. Acetylcholine
4. Adrenaline

Correct answer: 3. Acetylcholine